Which of the following is not an example of Direct transmission in communicable disease?
1. Transplacental
2. Soil contact
3. Droplet nuclei
4. Skin contact

Correct answer: 3. Droplet nuclei

Explanation: Direct transmission includes the following modes of transmission: 1. Direct Contact 2. Droplet infection 3. Contact with soil 4. Inoculation into skin/mucosa 5. Trans-placental (vertical) Indirect transmission: 1. Vehicle-borne 2. Vector-borne Mechanical Biological 3. Air-borne Droplet nuclei Dust 4. Fomite-borne 5. Unclean hands and fingers